Following are major criteria of rheumatic fever,except-
1. Chorea
2. Arthritis
3. Carditis
4. Prolonged P-R interval

Correct answer: 4. Prolonged P-R interval